An investigator into the life expectancy of IV drug abusers divides a sample of patients into HIV positive and HIV negative groups. What type of data does this division constitute?
1. Nominal
2. Ordinal
3. Interval
4. Portion

Correct answer: 1. Nominal

Explanation: In the question, data has been divided into two groups, i.e. HIV positive/HIV negative → Data should be measured on the nominal scale especially Dichotomous type of nominal scale.